Which enterovirus causes acute hemorrhagic conjunctivitis (AHC)?
1. 68
2. 69
3. 70
4. 71

Correct answer: 3. 70

Explanation: Ans. c. 70TYPE OF CONJUNCTIVITIS ASSOCIATED WITH ORGANISMS Type of conjunctivitisCausative organismsBacterial Acute mucopurulent conjunctivitis (Most common type)Acute purulent/Hyperacute Conjunctivitis/BlennorrhoeaAcute Membranous Conjunctivitis *. Staphylococcus aureus*. Haemophilus aegyptius*. Neisseria gonorrhoeae-most common*. Neisseria meningitidis*. C. diphtheria- most common in Non-immunized children*. Streptococcus hemolyticus-MC in Adults Acute Pseudomembranous Conjunctivitis Staphylococci, Streptococcus pneumoniae, Neisseria gonorrhoeae Angular/Diplobicillary ConjunctivitisMoraxella Lacunata/AxenfeldVIRAL Adenoviral ConjunctivitisNon-specific follicular ConjunctivitisEpidemic KeratoconjunctivitisPharyngo-conjunctival fever (PCF)Adenovirus Type: 1-11 and 19Adenovirus Type: 8,19 and 37Adenovirus Type: 3, 4 and 7Acute haemorrhagic conjunctivitis (AHC)*. Enterovirus type-70*. Coxsackie A 24*. Adenovirus Type-11Swimming pool conjunctivitis adult inclusion conjunctivitisChlamydia Trachomatis D-K serovars